Anorectal malformations include all of the following except?
1. Coloanal fistula
2. Rectourethral fistula
3. Imperforate anus
4. Anal Stenosis

Correct answer: 1. Coloanal fistula

Explanation: Ans. is'a'i.e., Coloanal fistulaAnorectal malformations are conditions occurring due to congenital anomalies of the rectum and anusThey include :Anal stenosisPersistent CloacaImperforate anusRectourethral or rectovesical fistulaRectovaginal fistula